"Pellagra" like skin lesion occurs with:
1. Systemic Mastocytosis
2. Bronchial carcinoid
3. Colorectal villous adenoma
4. Medullary thyroid carcinoma

Correct answer: 2. Bronchial carcinoid

Explanation: Carcinoid tumors produce the vasoactive substance, Serotonin.A pellagra-like syndrome is probably caused by diversion of large amounts of tryptophan from the synthesis of Vitamin B3 niacin, which is needed for NAD production, to the synthesis of serotonin and other 5-hydroxyindoles(ref:Harper's 27/e p458)